Hypergastrinemia with hypochlorhydria is seen in:
1. Zollinger Ellison Syndrome
2. VIPoma
3. Pernicious anemia
4. Glucagonoma

Correct answer: 3. Pernicious anemia

Explanation: Answer is C (Pernicious anemia) : Pernicious anemia is associated with Hypergastrinemia and Hypochlorhydria. Pernicious anemia It is the most common cause of vitamin B12 deficiency in temperate climatedeg It is characterised by gastric atrophy deg affecting the acid and pepsin secreting portion of stomach i.e. fundus and body. Antrum is spared. - intrinsic factor required for absorbtion of vit B12 is secreted by perietal cells, present in body and fundus of stomach and therefore intrinsic factor is depleted. - acid secreting cells are situated in body and fundus of stomach and therefore acid is depleted - Achlorhydria - gastrin producing G cells are situated in the antrum of stomach and so spared and therefore depletion of gastric acid results in hypertrophy of G-cells and hypergastrinemia - Hypergastrinemia